Pancreas secretes all of the following except
1. Amino peptidase
2. Elastase
3. Ribonuclease
4. Colipase

Correct answer: 1. Amino peptidase

Explanation: Elastase: Immediately on entering the small intestine from the stomach, the partial breakdown products of the protein foods are attacked by major proteolytic pancreatic enzymes: trypsin,chymotrypsin,   carboxypolypeptidase, and proelastase. Both trypsin and chymotrypsin split protein molecules into small polypeptides; carboxypolypeptidase then cleaves individual amino acids from the carboxyl ends of the polypeptides. Proelastase, in turn, is converted into elastase, which then digests elastin fibers  that partially hold meats together. Colipase and Ribonuclease are also secreted by Pancreas.